Deepest layer of epidermis:
1. Stratum corneum
2. Stratum spinosum
3. Stratum granulosum
4. Stratum germinatum

Correct answer: 4. Stratum germinatum

Explanation: Ans. (d) Stratum germinatumRef.: Fitzpatrick 7th ed. / 384* Epidermis of the skin has 4 layers:# Stratum basale/Germinatum: deepest most layers having single row columnar epithelial cells. It is actively dividing layer.# Stratum spinosum: aka prickle cell layer. Polygonal in shape. Synthesis of keratin mainly takes place here.# Stratum granulosum: diamond shaped. Microscopically there is presence of keratohyaline granules and oadland bodies (coatinggranules)# Stratum Corneum: as known as horny cell layer. Most superficial layer of skin. This layer is a nuclear dead cell layer.# NOTE: Stratum lucidum is the 5th layer of skin found on palm and soles. It is located between stratum granulosum and corneum.Also Know* Stratum corneum develops last. Therefore this layer is absent in premature babies* Stratum corneum is dead layer of epidermis* Hyperkeratosis: thickening of stratum corneum.